Hypercalcemia is seen in all except,
1. Lithium
2. Multiple myeloma
3. Loop diuretics
4. Hypervitaminosis D

Correct answer: 3. Loop diuretics

Explanation: Loop diuretics Hypercalcemia is caused by thiazide diurectics. Loop diuretics cause hypocalcemia. CAUSES OF HYPERCALCEMIA Parathyroid related Vitamin D related * Primary hyperparathyroidism * Vitamin D intoxication (solitary adenoma, MEN) * Increased 1, 25 (OH)2 D eg. Sarcoidosis * Lithium therapy * Idiopathic hypercalcemia of infancy * Familial hypercalciuric hypercalcemia Associated with high bone turnover Malignancy related * Hyperthyroidism * Solid tumor with metastasis/ * Immobilization paraneoplastic syndrome * Thiazides * Carcinoma breast/Lung/Kidney etc. * Vitamin A intoxication * Hematological : Multiple myelomal Lymphoma/ Leukemia Associated With Renal Failure * Severe secondary hyper-parathyroidism * Aluminum intoxication * Milk Alkali syndrome